The nerve of Kuntz is an important landmark in -
1. Lumbar sympathectomy
2. Cervicodorsal sympathectomy
3. Obturator neurectomy
4. Splanchnicectomy

Correct answer: 2. Cervicodorsal sympathectomy

Explanation: • Nerve of Kuntz: Thoracic origin of a sympathetic supply to the upper limb
• An inconstant intrathoracic ramus which joined the 2nd intercostal nerve to the ventral ramus of the 1st thoracic nerve, proximal to the point where the latter gave a large branch to the brachial plexus, has become known as the ‘nerve of Kuntz’
• These variant sympathetic pathways may be responsible for the recurrence of symptoms after sympathectomy surgery.